Pellagra like dermatitis occures in -
1. Dermato myositis
2. Carcinoid syndrome
3. SLE
4. Lymphoma

Correct answer: 2. Carcinoid syndrome